A 22-year-old student is scheduled to undergo parathyroidectomy for hyperparathyroidism associated with familial multiglandular syndrome. His sister developed peptic ulcer disease secondary to a Zollinger-Ellison (hypergastrinemia) 22 tumor of the pancreas. On examination, a swelling was noted over the posterior aspect of the patient's fifth rib. What is the most likely finding?
1. Metastasis from a parathyroid carcinoma
2. Osteitis fibrosa cystica (brown tumor) and subperiosteal resorption of the phalanges
3. Dermoid cyst
4. Eosinophilic granuloma

Correct answer: 2. Osteitis fibrosa cystica (brown tumor) and subperiosteal resorption of the phalanges

Explanation: Patients with hyperparathyroidism develop demineralization, and 1.5% shows osteitis fibrosa cystica. The presence of subperiosteal resorption of bone of the phalanges and lamina dura of the teeth are fairly diagnostic radiological findings of hyperparathyroidism. Chondromas account for 20% of benign tumors of the rib and occur at the costochondral junction. Osteochondromas arise from the cortex and usually occur in men. Eosinophilic granuloma results in a destructive lesion apparent on x-ray.